Investigation of choice for hydronephrosis –
1. Excretory Urography
2. USG
3. MRI
4. Cystourethrography

Correct answer: 2. USG

Explanation: "Ultrasonography is the initial modality of choice in the investigation of hydronephrosis". —Imaging for students.